Which intervention is best in patients operated for bilateral acoustic neuroma for hearing rehabilitation?
1. Brainstem hearing implant
2. Bilateral cochlear implant
3. Unilateral cochlear implant
4. High power hearing aid

Correct answer: 1. Brainstem hearing implant

Explanation: Auditory brainstem implant (ABI) Brainstem implant is currently used only in patients with NF-2 and is always implanted simultaneously in the lateral recess of the fourth ventricle with tumor removal (usually during excision of the patient's second tumor). It is useful in patients who have had both cochleovestibular nerves sacrificed, since this implant stimulates the cochlear nuclear complex in the brainstem Such an implant is In unilateral acoustic neuroma, auditory brainstem implant (ABI) is not necessary as hearing is possible from the contralateral side but in bilateral acoustic neuroma as in neurofibromatosis-2, rehabilitation is required by ABI Dhingra 6th/ed